Chlamydia in asymptomatic carriers, the most sensitive test is -
1. Tissue culture
2. Nucleic acid amplification test
3. Serology
4. Serum electrophoresis

Correct answer: 2. Nucleic acid amplification test